Residual bodies are
1. Mitochondria
2. Nucleus
3. Golgi apparatus
4. Lysosomes

Correct answer: 4. Lysosomes

Explanation: lysosomes Residual bodies are nothing but secondary lysosomes with undigested wastes. The digested materials are diffused into the cell cytoplasm through the lysosomal membrane. (Ref: www.sivabio.50web.com)